Which of the following concerned with pain and temperature -
1. Pyramidal tract
2. Anterior spinothalamic tract
3. Lateral spinothalamic tract
4. Dorsal column

Correct answer: 3. Lateral spinothalamic tract

Explanation: Lateral spinothalamic tract - carry pain and temperature sensation of body. Pyramidal tract(corticospinal tract) - carry motor sensation of body from brain to muscles of limbs. Anterior spinothalamic tract - carry crude touch and pressure sensation. Dorsal column is for conscious proprioception, fine touch and vibaration.